Bennett movement of mandible is related to:
1. Condylar rotation
2. Lateral bodily movement of mandible
3. Protrusive movement of mandible
4. Edge to edge occlusion

Correct answer: 2. Lateral bodily movement of mandible